All except one are true about hormonal changes during menopause
1. FSH levels rise
2. LH levels fall
3. GnRH released at maximal frequency
4. AMH levels fall

Correct answer: 2. LH levels fall

Explanation: FSH and LH levels rise up to fourfold higher than those in reproductive years.